Among the following food items, which one has the highest "Glycemic Index"?
1. Corn flakes
2. Brown rice
3. Ice-cream
4. Whole wheat bread

Correct answer: 1. Corn flakes

Explanation: The increase in blood glucose after a test dose of a carbohydrate compared with that after an equivalent amount of glucose is known as the glycemic index. Glycemic Index decreasing order: Corn flakes> whole wheat bread>Brown rice>Ice cream Most varieties of legumes, pasta, fruits, and dairy products are low-GI foods (55 or less on the glucose reference scale). Breads, breakfast cereals, rice, and snack products, including whole-grain versions, are available in both high- (70 or greater) and low-GI forms. Glucose and galactose have an index of 1 (or 100%), as do lactose, maltose, isomaltose, and trehalose, which give rise to these monosaccharides on hydrolysis. Fructose and the sugar alcohols are absorbed less rapidly and have a lower glycemic index, as does sucrose. The glycemic index of starch varies between near 1 (or 100%) and near 0 as a result of variable rates of hydrolysis, and that of non-starch polysaccharides is 0. Foods that have a low glycemic index are considered to be more beneficial since they cause less fluctuation in insulin secretion.